Maximum reservoir of blood
1. Large vein
2. Aorta
3. Heart
4. Capillaries

Correct answer: 1. Large vein

Explanation: At rest, at least 50% of the circulating blood volume is in the systemic veins, 12% is in the heart cavities, and 18% is in the low-pressure pulmonary circulation. Only 2% is in the aorta, 8% in the arteries, 1% in the arterioles, and 5% in the capillaries Ref: Ganong's Review of Medical Physiology Twenty-Third Edition Page No:543